Terminal stage of pneumonia is ?
1. Congestion
2. Red hepatization
3. Gray hepatization
4. Resolution

Correct answer: 4. Resolution

Explanation: Ans. is 'd' i.e., Resolution